Early & established stage of gingivitis is differentiated by increase in number of
1. Plasma cells
2. Neutrophil
3. B-cell
4. Macrophages

Correct answer: 1. Plasma cells